Locking of knee joint occurs due to -
1. Lateral rotation of femur during last degrees of extension.
2. Medial rotation of femur during last degrees of extension
3. Lateral rotation of femur during last degrees of flexion
4. Medial rotation of femur during last degrees of flexion

Correct answer: 2. Medial rotation of femur during last degrees of extension

Explanation: During last stages of extension, femur rotates medially on tibia due to quadriceps femoris to lock the knee joint.